Highest amount of saturated fatty acid is seen in -
1. Soyabean oil
2. Groundnut oil
3. Palm oil
4. Sunflower oil

Correct answer: 3. Palm oil

Explanation: - the amount of saturated fatty acid in Palm kernal is 83, ground nut oil is 19, sunflower oil is 12 and soya bean oil is 14. Reference : Park's textbook of preventive and social medicine, 23rd edition, pg no:611